Megaloblastic anemia develop in –
1. Sideroblastic anemia
2. Thalassaemia
3. Infants fed on goats milk
4. Vitamin C deficiency

Correct answer: 3. Infants fed on goats milk

Explanation: Folic acid deficiency causes megaloblastic anemia.
Human breast milk, pasteurized Cow's milk, and infant formulas provide adequate amount of folic acid.
Goat's milk is deficient in folic acid.